Which of the following is an antifibrinolytic agent?
1. Dabigatran
2. Protamine
3. Alteplase
4. Epsilon aminocaproic acid

Correct answer: 4. Epsilon aminocaproic acid

Explanation: Ans. d. Epsilon aminoeaproic acid (Ref: Goodman Gilman 12/e p867; Katzung 12/e p616; KDT 7/e p628, 6/e p608) Epsilon-aminocaproic acid is a synthetic inhibitor of the ptasmin-plasminogen system. It is the only potent antifibrinolytic agent, which is commercially available."Aminoeaproic acid is a lysine analog that competes for lysine binding sites on plasminogen and plasmin, blocking the interaction of plasmin with fibrin. Aminocaproic acid is thereby a potent inhibitor of fibrinolysis and can reverse states that are associated with excessive fibrinolysis. "-- Goodman Gilman 12/e p867Aminoeaproic AcidEACA is a synthetic inhibitor of the plasmin-piasminogen systemQ.It is the only potent antifibrinolytic agent, which is commercially availableQ.Mechanism of Action:Aminoeaproic acid is a lysine analog that competes for lysine binding sites on plasminogen & plasmin, blocking the interaction of plasmin with fibrinQ.Aminocaproic acid is a potent inhibitor of fibrinolysis & can reverse states that are associated with excessive fibrinolysisQ.Therapeutic Uses:Used to reduce bleeding after prostatic surgery or after tooth extractions in hemophiliacsQ.Used to treat the overdose and/ or toxic effects of the thrombolytics like tissue plasminogen activator & streptokinaseQ.Side-effects:Hypotension, cardiac arrhythmias, rhabdomyolysis & generation of thrombiQ.